Annexin V is a marker for ?
1. Apoptosis
2. Necrosis
3. Atherosclerosis
4. Inflammation

Correct answer: 1. Apoptosis

Explanation: Ans. is 'a' i.e., Apoptosis Annexin V assays provides simple and effective method to detect apoptosis at a very early stage.